L.D. bodies are seen in:
1. Kalahazar
2. Toxoplasmosis
3. Malaria
4. Sleeping sickness

Correct answer: 1. Kalahazar